Elimination of leprosy is defined as prevalance –
1. < 1 per 1000
2. < 1 per 10000
3. < 1 per 1 lakh
4. < 1 per 100

Correct answer: 2. < 1 per 10000

Explanation: "As a result of the hard work and meticulously planned and executed activities, the country achieved the goal of elimination of leprosy s public health problem, defined as less than 1 case per 10000 population, at the National level in the month of December, 2005: As on 31st December 2005, prevalence rate recorded in the country was 0.95/10,000 population"